All of the following are mesodermal in origin except -
1. Dilators of iris
2. Iris stroma
3. Ciliary body
4. Choroid

Correct answer: 1. Dilators of iris